White polished rice causes deficiency of:
1. Thiamine
2. Tryptophan
3. Riboflavin
4. Protein

Correct answer: 1. Thiamine

Explanation: Thiamine loss occur in: Polishing of rice, Milling of rice, Washing/cooking of rice, Toast, Cereals cooked with baking soda, Prolonged storage of fruits & vegetables. Beriberi is caused by a pronounced deficiency of anti-neuritic vitamin/vitamin B1or Thiamine, which is required for utilization of carbohydrates. Up to 80 percent of Thiamine (B1 vitamin) is removed during the process of milling brown rice to white polished rice. Parboiling (partial cooking in steam) is ancient Indian technique of preserving the nutritive quality of rice. During the steaming process, a greater part of the vitamins and minerals present in the outer aleurone layer of the rice grain are driven into the inner endosperm. With subsequent milling, even to a high degree, the nutrients are not removed.